A 60 years old man suffering from left colon Ca presented with acute Lt. colonic obstruction the treatment is -a) Primary resection and Hartman's procedureb) Defunctioning colostomyc) Rt. hemicolectomyd) Resection of whole Lt. bowel and end to end anastomosise) Conservative treatment
1. acd
2. bcd
3. abc
4. abd

Correct answer: 4. abd